Physical Quality of life Index Components
1. Life expectancy at birth
2. Knowledge
3. Life expectancy at age one
4. Standard of Living

Correct answer: 3. Life expectancy at age one

Explanation: Components of PQLI:Infant Mortality Life expectancy at age oneLiteracyPQLI is scaled from 0 to 100.